Rate of growth of beard hair is:
1. 0.2 mm/day
2. 0.4 mm/day
3. 0.6 mm/day
4. 1 mm/day

Correct answer: 2. 0.4 mm/day

Explanation: Ans. B i.e. 0.4 mm/ day